Functions of integumentary system include following except
1. Boundary between internal environment and exterior
2. Mobility and postural balance
3. Temperature regulation and excretory function
4. Sensory interface between body and exterior

Correct answer: 2. Mobility and postural balance

Explanation: The integumentary system is the organ system that protects the body from various kinds of damage, such as loss of water or abrasion from outside.The system comprises the skin and its appendages (including hair, scales, feathers, hooves, and nails).The integumentary system has a variety of functions; it may serve to waterproof, cushion, and protect the deeper tissues, excrete wastes, and regulate temperature, and is the attachment site for sensory receptors to detect pain, sensation, pressure, and temperature